Luxatio erecta
1. Tear of the glenoidal labium
2. Inferior dislocation of shoulder
3. Anterior dislocation of shoulder
4. Defect in the humeral head

Correct answer: 2. Inferior dislocation of shoulder

Explanation: B i.e. Inferior dislocation of shoulder Inferior (downward/ sub- glenoid) dislocation of shoulder is known as luxatio erectaQ.Inferior Dislocation of Shoulder* It is caused by severe hyper abduction force. With the humerus as the lever and acromian as fulcrum, the humeral head is lifted across the inferior rim of glenoid socket and pokes into axilla (subglenoid position).* It is rare and also called luxatio erecta because the humeral head is subluxated (dislocated inferiorly and humerus shaft points upwards (erected).* The staling picture of a patient with his / her arm locked in almost full abduction/ elevation(2, should make diagnosis quite easy. The patient comes with his arm fixed almost by the side of his head.* Potentially serious consequences eg neurovascular damage is quite common.* Reduced by pulling upwards in the line of abducted arm with countertraction downwards.